Keshan disease in due to deficiency of -
1. Selenium
2. Copper
3. Zinc
4. Iron

Correct answer: 1. Selenium

Explanation: Ans. is 'a' i.e., Selenium o Keshan diseaseCardiomyopathy associated with selenium deficiency,o Wilson diseaseAutosomal recessive.Defective metabolism of copper leads to copper toxicity.Deficiency of ceruloplasmin.Presence of KF ring in cornea,o Acrodermatitis enteropathicaDeficiency of zinc.Dermatitis of extremities & around orifices.